Functional matrix theory suggests that the determinant growth of skeletal tissues resides in:
1. Skeletal
2. Sutures
3. Cartilages
4. Non-skeletal tissues

Correct answer: 4. Non-skeletal tissues